Drug not useful in UTI is -
1. Ofloxacin
2. Levofloxacin
3. Ciprofloxacin
4. Moxifloxacin

Correct answer: 4. Moxifloxacin

Explanation: Moxifloxacin is used to treat a number of infections, including: respiratory tract infections, cellulitis, anthrax, intra-abdominal infections, endocarditis, meningitis, and tuberculosis treatment of acute bacterial sinusitis, acute bacterial exacerbation of chronic bronchitis, community acquired pneumonia, complicated and uncomplicated skin and skin structure infections, and complicated intra-abdominal infections it is not used in treatment of UTI Ref Harrison20th edition pg 255